Which of the following cell types is least sensitive to anoxia?
1. Neurons
2. Cardiac myocytes
3. Fibroblasts
4. Proximal renal tubule cells

Correct answer: 3. Fibroblasts

Explanation: Highly specialized cells, such as neurons, cardiac myocytes, small intestinal absorptive cells, and cells of the proximal renal tubule, are much more sensitive to anoxia than are fibroblasts. The former require more oxygen for maintenance of their complex functions.